Miliary tuberculosis results from spread of tubercle bacilli by way of:
1. Lymphatics
2. Waldeyer's ring
3. The bloodstream
4. The urinary system

Correct answer: 3. The bloodstream